What is the mechanism of action of sacubitril?
1. ACE inhibitor
2. Neutral endopeptidase inhibitor
3. Endothelin antagonist
4. Angiotensin receptor blocker

Correct answer: 2. Neutral endopeptidase inhibitor

Explanation: Ans. b. Neutral endopeptidase inhibitorRef: CMDT 2018/P 414Sacubitril is a neutral endopeptidase or neprilysin inhibitor approved for treatment of chronic CHF in combination with angiotensin receptor blocker like valsartan.It can cause angioedema and hence is contraindicated with ACE inhibitors or within 36 hours of use of ACE inhibitors.